Commonest fracture in childhood is
1. Femur
2. Clavicle
3. Distal humerus
4. Radius

Correct answer: 4. Radius

Explanation: The incidence of Fractures in childhood in Long BonesBone frequency Radius 45.1%Humerus 18.4%Tibia 15.1%Clavicle 13.8%Femur 7.6%(Refer: Mohindra's Fundamentals of Orthopedics, 2nd edition, pg no. 87, 88)